H pylori treatment: A/E-
1. Oentamycin
2. Clarithromycin
3. Metronidazole
4. Amoxicil in

Correct answer: 1. Oentamycin

Explanation: H.pyori treatment is based upon a PPI taken simultaneously with 2 antibiotics (from amoxicillin, clarithromycin and metronidazole) Davidson page 874